True about atopic dermatitis are, all except –
1. Pruritus
2. Scratching
3. Mica like scales
4. Xerosis

Correct answer: 3. Mica like scales

Explanation: Mica like scales are scales which are attached at the centre of the lesion and free at the periphery. eg : PLC, PLEVA, psoriasis
In atopic dermatitis there is intense pruritis and scratching.
Xerosis is minor criterian in the diagnosis of atopic dermatitis.